Umblicated nodules are produced by -
1. Poxvirus
2. Enterovirus
3. Rhinovirus
4. Myxovirus

Correct answer: 1. Poxvirus

Explanation: Umbelicated lesion seen in molluscum contagiosum which is caused by a poxvirus REF:ANANTHANARYANAN TEXTBOOK OF MICROBIOLOGY 9EDITION PGNO.463